Growth of C diphtheriae in Tellurite agar occurs in -
1. 2-4 hours
2. 4-8 hours
3. 8-12 hours
4. 1-2 days

Correct answer: 4. 1-2 days

Explanation: Ans. is 'd' i.e., 1-2 days * The usual media employed for cultivation of diphtheria bacillus are:-1) Loeffler's serum slope# It is used for rapid diagnosis as growth is shown within 4-8 hours.2) Tellurite blood agar (Tinsdale medium)# It acts as selective media, as tellurite inhibits growth of most other bacteria.# Growth may take two days to appear.